In Breast cancer following are expressed:
1. HER2/neu
2. P53
3. B RCA1
4. All

Correct answer: 4. All

Explanation: Ans. is 'a', 'b' & 'c' i.e. HER2/neu, P53 & BRCA1